Which of the following act as a means of transmission of HIV infection in newborn –
1. Transplacental
2. Breast feeding
3. During delivery
4. All of these

Correct answer: 4. All of these

Explanation: Maternal-fetal / infant transmission                                                          

The probability of transmission of HIV from mother to infant/fetus ranges from 15 to 25% in industrialized countries and from 25 to 35% in developing countries.
HIV can be transmitted from mother to fetus/infant in the following ways :

a) In utero (During pregnancy)
b) During delivery (Perinatal) → Most common
c) After birth by breastfeeding → Least common.

Firstborn twin is more commonly infected than the second twin.
Cesarean section results in decreased transmission to the infant.
Vit. A deficiency increases the risk of transmission.
The major risk factor of transmission is the presence of a high maternal level of plasma viremia.